Sirolimus is more likely than cyclosporine to cause :
1. Hypertension
2. Osteoporosis
3. Renal insufficiency
4. Thrombocytopenia

Correct answer: 4. Thrombocytopenia

Explanation: Cyclosporine and tacrolimus cause nephrotoxicity as an adverse effect.
Sirolimus (rapamycin) results in bone marrow suppression and thus may cause anemia, thrombocytopenia and leukopenia.